True about Dezocine -
1. Slower acting than morphine
2. Less potent than morphine
3. Acts GABA
4. Doesn't increase histamine release

Correct answer: 4. Doesn't increase histamine release

Explanation: Ans. is 'd' i.e., Doesn't increase histamine release Dezocine Dezocine is an opioid agonist-antagonist. o Its analgesic potency, onset and duration of action in the relief of postoperative pain are comparable to morphine. o It has no effect on histamine and catecholamines secretion. o Like other agonist-antagonist it exhibits ceiling effect for respiratory depression. It has a high affinity for receptors and moderate affinity for 8 receptors.